Neonatal sepsis and meningitis most common cause –
1. Streptococcus pyogenes
2. Streptococcus agalactacea
3. Enterococcus fecalis
4. Staphylococcus aureus

Correct answer: 2. Streptococcus agalactacea